Neonate with retrolental fibroplasia is associated with
1. Hypoxia
2. Hypocapnea
3. Hypoxaemia
4. Hyperoxemia

Correct answer: 4. Hyperoxemia

Explanation: Retrolental fibroplasia- Abnormal proliferation of fibrous tissue immediately behind the lens of the eye, leading to blindness. This is mostly due to excessive administration of oxygen in premature babies. Image : Retrolental fibroplasia or Retinopathy of prematurity Reference: GHAI Essential pediatrics, 8th edition